For which malignancy, Intensity Modulated Radiotherapy (IM) is the most suitable:
1. Lung
2. Prostate
3. Leukemias
4. Stomach

Correct answer: 2. Prostate

Explanation: B i.e. Prostate